The antidote for benzodiazepine toxicity is -
1. Flumazenil
2. Naloxone
3. Naltrexone
4. Dimercaprol

Correct answer: 1. Flumazenil

Explanation: Ans. is 'a' i.e., FlumazenilDrugAntidoteAcetaminophenN-Acetylcysteine or MucomystAnticholinesteraseAtropine or PralidoximeAnticholinergics, diphenhydramine,PhysostigmineDimenhydrinate Ethylene glycolFomepizole, EthanolBenzodiazepines, Zaleplon, ZolpidemFlumazenil (Romazicon)Beta-Blocking agents, Calcium channel blockers, Hypoglycemia, Hypoglycemic agentsGlucagon, EpinephrineCalcium Channel BlockersCalcium Chloride, GlucagonCoumadinPhytonadione or Vitamin KCyanideAmyl nitrite, sodium nitrite, sodium thiosulfateCyclophosphamideMesnaDigoxinDigibind or Digoxin Immune FabHeroinNaloxone (Narcan) or NalmefeneIronDeferoxamineHeparinProtamine SulfateLeadEDTA, dimercaprol, succimerMethotrexateLeucovorin calciumPotassiumInsulin + Glucose, KayexalateValproic acidL-CamitineIsoniazidPyridoxine HC1 (Vitamin B6)Arsenic, Copper, Lead, MercuryD-Penicillamine (Cuprimine)